Most hazardous pesticide colour coding is –
1. Red
2. Green
3. Yellow
4. Black

Correct answer: 1. Red

Explanation: Toxicity Colour Labels of Pesticides in India
• Red label: Extremely toxic – Zinc phosphide
• Yellow label: Highly toxic – Endosulphan
• Blue label: Moderately toxic – Malathion
• Green label: Slightly toxic – Mosquito repellants